Which one of the following tests can be used to study ordinal date from two independence samples from a population that is not noraml distributed?
1. The student t test
2. The wilcoxon rank sum test
3. The chi- square test
4. The one - way analysis of variance

Correct answer: 2. The wilcoxon rank sum test